Severity of cyanosis in fallot's physiology is best decided by?
1. Size of V.S.D
2. Overriding of aorta
3. Degree of RVH
4. Degree of pulmonary stenosis

Correct answer: 4. Degree of pulmonary stenosis

Explanation: --> Severity of TOF is: Directly proportional to severity of cyanosis & Inversely proportional to intensity & duration of murmur - which depends on degree of pulmonary stenosis